Anterior ethmoidal nerve supplies all except:
1. Ethmoidal air cells
2. Maxillary sinus
3. Dural sheath of ant cranial fossa
4. Interior of nasal cavity

Correct answer: 2. Maxillary sinus

Explanation: THe maxillary sinuses are innervated by infra-orbital and alveolar branches of the maxillary nerve